Most common site of genital tuberculosis is :
1. Abdomen
2. Pulmonary
3. Fallopian tubes
4. Ovary

Correct answer: 3. Fallopian tubes

Explanation: Fallopian tubes